Toxic shock syndrome is due to ?
1. Endotoxin
2. Exotoxin
3. Lipopolysaccharide
4. Staphylococcal protein A

Correct answer: 2. Exotoxin

Explanation: Ans. is 'b' i.e., Exotoxin TSS is a potentially fatal multisystem disease characterized by sudden high fever, fainting, watery diarrhea, headache and muscle ache.